Mucous lesions are seen in – a) Sec. Syphilisb) Dermatitis herpetiformisc) Psoriasisd) Pemphiguse) Porphyria
1. b
2. c
3. ac
4. ad

Correct answer: 4. ad